Most important mechanism of action of microwave irradiation is?
1. Thermal effect
2. Ionizing effect
3. Stereotactic effect
4. All of the above

Correct answer: 1. Thermal effect

Explanation: Ans. is'a'i.e., Thermal effect .Ref: cdn.intechopen.com/.../InTech- Prospective -apPlication -of-microwaves-in-medicineThe most important mechanism in medical applications of microwaves is the thermal effects of EM field.